Cadaveric spasm affects the following muscles
1. Voluntary
2. Involuntary
3. Both
4. None

Correct answer: 1. Voluntary

Explanation: (A) Voluntary > Cadaveric Spasm or Instantaneous Rigor: Cadaveric spasm (cataleptic rigidity) is a rare condition.> In this, the muscles that were contracted during life become stiff and rigid immediately after death without passing into the stage of primary relaxation.> This is usually limited to a limited group of voluntary muscles and frequently involves hands> The whole body can be involved in soldiers who are involved in a war